Oliguric phase of renal failure, all are TRUE, except -
1. Hypercalcemia
2. Hyponatremia
3. Anaemia
4. Hyperkalemia

Correct answer: 1. Hypercalcemia

Explanation: In acute renal failure- metastatic deposition of calcium phosphates can lead to Hypocalcemia AKI -associated Hypocalcemia may also arise from derangements in vitamin D -parathyroid hormone -fibroblast growth factor 23 axis. Other electrolyte disturbances are hyponatremia ,hyperkalemia,hyperphosphatemia Hematologic complications of AKI include anemia and bleeding Direct hematologic effects from aki related uremia include decreased erythropoiesis and platelet dysfunction. Ref Harrison20th edition pg 299